Paracusis Willisii is a feature of
1. Tympanosclerosis
2. Otosclerosis
3. Meniere's disease
4. Presbycusis

Correct answer: 2. Otosclerosis

Explanation: An otosclerotic patient hears better in noise than in quiet surroundings. This is called Paracusis Willisii. This is because a normal person will raise his voice in noisy surroundings Ref: Diseases of EAR, NOSE and THROAT by PL Dhingra; 7th Edition; page no 96